A 32 year old male patient comes to OPD with persistent acne scars. there is history of Obsessive Compulsive disorder . what can be the probable diagnosis?
1. Acne conglobata
2. Acne mechanica
3. Acne fulminans
4. Acne excoriee

Correct answer: 4. Acne excoriee

Explanation: Acne excoriee Type of acne that occurs when the affected individual picks at the acne lesions. Most often seen in teen girls. The picking exacerbates the acne and causes scars; Scarring leads to more acne and, ultimately, more picking. Acne conglobata Highly inflammatory disease presenting with comedones, nodules, abscesses, and draining sinus tracts. Begins between the ages of 18 and 30. Usually persists for a very long time. Acne mechanica Form of acne which is especially common in athletes, students, and soldiers. Triggered by excess heat, pressure, friction or rubbing of the skin. Develop anywhere on the face or body. Acne fulminans Rare skin disorder presenting as an acute, painful, ulcerating, and hemorrhagic clinical form of acne. Bone lesions and laboratory abnormalities.